Simple fracture of terminal phalanx of the little finger -
1. Simple injury
2. Grievous injury
3. Dangerous injury
4. None

Correct answer: 2. Grievous injury

Explanation: Any fracture is Grievous hurt.